The most common causative organism for lobar pneumonia is:
1. Staphylococcus aureus
2. Streptococcus pyogenes
3. Streptococcus pneumoniae
4. Haemophilus influenzae

Correct answer: 3. Streptococcus pneumoniae

Explanation: Ans. C. Streptococcus pneumoniaeThe most common organisms which cause lobar pneumonia are Streptococcus pneumoniae, also called pneumococcus. MC typical pneumonia: strept. pneumonia* MC of atypical pneumonia: Mycoplasma* MC nosocomial pneumonia: gram negative bacilli* MC early VAP: Streptococcus* MC late VAP: pseudomonas* MC VAP: pseudomonas* MC pneumonia in cystic fibrosis: pseudomonas* MC pneumonia resulting in ICU admission: streptococcus* MCC pneumonia in HIV: tuberculosis* MC pneumonia in smokers: Strept. pneumonia* MC trigger for asthma exacerbation: Rhinovirus.* MC cause exacerbation of COPD: H. influenza